All of the following are true regarding the findings of peripheral smear in vitamin B12 deficiency except:
1. Hypercellular marrow
2. Poikilocytosis
3. Hypersegmented neutrophils
4. Microcytic red cells

Correct answer: 4. Microcytic red cells

Explanation: Ans. D: Microcytic red cellsA peripheral smear in megaloblastic anemia shows:The classic hypersegmented polymorphonucleated cells having more than 5 nuclear lobules instead of normal three to four.Marrow is hypercellular as a result of marked hematopoietic precursors.The presence of red cells that are macrocytic and oval is highly characteristicAnisocvtosis and poikilocytosis